Active fluoride concentration in the cavity varnish duraphat is:
1. 22,900 ppm
2. 7,600 ppm
3. 22,600 ppm
4. 11,600 ppm

Correct answer: 3. 22,600 ppm

Explanation: Duraphat, the first fluoride varnish developed in Germany.
It is a viscous yellowish material, containing 22,600 ppm fluoride as sodium fluoride in a neutral colophonium base (NaF varnish containing 2.26% fluoride in organic lacquer). 
Duraphat has shown caries reduction between 30% and 40% in the permanent dentition and in between 7% and 44% in the primary dentition.

Essentials of preventive and community dentistry
Soben Peter
5th edition
page no. 255